A young female presents with symptoms and signs of meningitis. CSF shows gram-positive bacilli. The most likely causative agent is?
1. Listeria monocytogenes
2. Haemophilus influenzae
3. Pneumococcus
4. Pseudomonas

Correct answer: 1. Listeria monocytogenes

Explanation: Listeria monocytogens are gram-positive bacilli.Haemophilus influenzae and Pseudomonas are Gram negative.Pneumococcus is capsulated gram-positive cocci in pairs.